A 24-year-old patient presents to OPD at 18 weeks of pregnancy with a previous history of a child with Down syndrome. The most appropriate is
1. Triple test
2. Chorionic villous biopsy
3. Amniocentesis
4. Cordocentesis

Correct answer: 3. Amniocentesis

Explanation: "Tripple test gives risk ratio and for further confirmation amniocenteses has to be done" Tripple test (MSAFP, hCG, UE3) it is performed at 15-18 weeks while amniocenteses in performed at 16 weeks of pregnancy